Slowest conducting part in the heart is:
1. SA node
2. AV node
3. Atrial fibers
4. Bundle branches

Correct answer: 2. AV node

Explanation: Both SA node and AV node contain slowly depolarizing cells. Both of them conduct impulse slowly. Velocity of impulse through both SA node and AV node is about 0.05 - 0.1 sec. In addition, AV node has 2 more properties: Small diameter of fibers Fewer gap junctions between adjacent cells. These features make the AV node even slower in conducting the impulse.